Which of these need both V and X factors-a) Hemophilus influenzaeb) H. ducreic) H. paraphrophilusd) H. aegyptiuse) H. haemolyticus
1. ade
2. bde
3. abd
4. ad

Correct answer: 1. ade